Phagocytosis of mycobacterium tuberculosis by macrophages is mainly mediated by-
1. IL6
2. IL3
3. IL12
4. IFN gamma

Correct answer: 4. IFN gamma

Explanation: Ans. is 'd' i.e., IFN gamma o Phagocytosis of M tuberculosis of macrophages is a granulomatous inflammation which is induced by IFN-g.o Activated T-cells (helper) produce IFN-g, the major cytokine of granulomatous inflammation.o IFN-g has the following effects:1. It is the most important activator of macrophages.2. It induce granuloma formation by conversion of activated macrophages into epitheliod cells and formation of giant cell.3. Augment the differentiation of T-cells.o Finally there is formation of granuloma induced by IFN-g.